All are temporary record base material, except?
1. Shellac
2. Autopolymerizing resin
3. Vacuum formed vinyl or polystyrene
4. Heat cure acrylic resin

Correct answer: 4. Heat cure acrylic resin